Mother to child transmission in vectors is called?
1. Transovarian
2. Mechanical transmission
3. Propagative transmission
4. Cyclodevelopmental transmission

Correct answer: 1. Transovarian

Explanation: Ans. is 'a' i.e., Transovarian When the infectious agent is transmitted vertically from the infected female to her progeny in the vector, It is known as trasnovarian transmission. Transovarian transmission is seen in :- Scrub typhus Rickettsial pox Rocky mountain spotted fever Indian tick typhus Q. fever Yellow fever Note : In Q fever also, there is transovarial transmission in tick. (But no arthropod is involved in its transmission to man). Also know Transmission of the disease agent from one stage of life cycle to another as for example nymph to adult is known as trans-stadial transmission.